Which of the following would you consider to be general properties of viruses
1. New virus particle arises directly (by division) from preexisting viruses
2. Fall in to the general size range of 200-3000 angstrom unit
3. Contain equal proportions of protein, lipo polysaccharide and nucleic acids
4. Contain DNA but no RNA

Correct answer: 2. Fall in to the general size range of 200-3000 angstrom unit